The best technique to isolate DNA from enamel and dentin is
1. Cryogenic grinding
2. Crushing
3. Horizontal section
4. Conventional endodontic process

Correct answer: 1. Cryogenic grinding